You are about to attend your first delivery of a baby. Which of the following circulatory changes normally takes place in the newborn within five minutes after birth?
1. Decrease in systemic artery resistance
2. Increase in pulmonary artery resistance
3. Closure of the foramen ovale
4. Closure of the ductus arteriosus

Correct answer: 3. Closure of the foramen ovale

Explanation: With the first breath of life, pulmonary arterial resistance drops dramatically. This is due to the oxygenation of the lungs causing vasodilatation of the pulmonary vessels. Clamping of the umbilical cord doubles peripheral resistance and causes an increase in arterial blood pressure. As soon as right atrial pressure drop below left atrial pressure, the foramen ovale will close (valve-like mechanism), establishing the adult type blood circulation. The rising systemic and falling pulmonary artery pressure cause a flow reversal through the ductus arteriosus from right to left to left to right within minutes of birth. Complete closure of the ductus arteriosus appears to be due to a decline of local prostacyclin levels and usually drops within 24 to 48 hours after birth. The ductus venosus closes even later. Ref: Bashore T.M., Granger C.B., Hranitzky P., Patel M.R. (2013). Chapter 10. Heart Disease. In M.A. Papadakis, S.J. McPhee, M.W. Rabow (Eds), CURRENT Medical Diagnosis & Treatment 2013.